Which is not a feature of Lofgren syndrome?
1. Uveitis
2. Erythema nodosum
3. Polyarthritis
4. Bilateral hilar adenopathy

Correct answer: 1. Uveitis

Explanation: Lofgren Syndrome:- Specific acute clinical presentation of systemic sarcoidosis with following triad of symptoms:- Migratory Polyarthritis (acute and involves the lower extremities) Erythema nodosum B/L hilar lymphadenopathy Lofgren syndrome is associated with a good prognosis, with > 90% of patients experiencing disease resolution within 2 years.